Emporiatrics deals with the health of
1. Farmers
2. Travellers
3. Industrial workers
4. Mine workers

Correct answer: 2. Travellers

Explanation: Emporiatrics : it is the term coined to describe the science of health of travellers . Ref : parks textbook of PSM 24th edition page no :135